Itching is produced by the stimulation of all except:
1. C fibres
2. Naked nerve endings
3. Histamine
4. Pacinian corpuscles

Correct answer: 4. Pacinian corpuscles

Explanation: (D) Pacinian corpuscles > Both pain and itching are sensed by free nerve endings, carried by C fibres and travel to brain via. spinothalamic tracts.> Pacinian corpuscles sense touch and pressure.> Histamine is responsible for itching sensation